Which of the following characteristics is not of much importance in a screening test-
1. Low cost
2. High safety margin
3. High sensitivity
4. High specificity

Correct answer: 4. High specificity

Explanation: ref: ref: Park's 23rd edition pg 137 Screening test must satisfy the criteria of acceptability, repeatablity and validity, desides others like yield, simplicity, safety, rapidity, ease of administration and cost. Specificity: defined as the ability of a test to correctly identify those who do not have the diesase, that is "true negatives". A screening test need not have high specificity.